Hallpike maneuver is done for:
1. Vestibular function
2. Audiometry
3. Cochlear function
4. Corneal test

Correct answer: 1. Vestibular function

Explanation: Hallpike maneuver is done for BPPV (benign paroxysmal positional vertigo) due to displacement of otoconia into posterior semicircular canal. Diagnosis confirmed by Hallpike's maneuver. The Patient sits on a couch & examiner holds the patients head, turn it 450 to the right and then places the patient in a supine position so that his head hangs 300 below the horizontal. Patients eyes are observed for nystagmus. test is repeated with head turned to left and then again in straight head hanging position. In BPPV - vertigo, nystagmus appears after a latent period of 2-20 seconds lasts for less than 1min.